Which component of the eye has a maximum refractive index –
1. Anterior surface of the lens
2. Posterior surface of the lens
3. Centre of the lens
4. Cornea

Correct answer: 3. Centre of the lens

Explanation: Lens has maximum refractive index among the refractive structures of eye. The refractive indices of the successive layers of lens increase from the periphery towards the nucleus. Therefore :-


Anterior lens cortex →  Refractive index is 1.386.
Posterior lens cortex → Refractive index is 1.386.
Centre of lens (nucleus) →  Refractive index is 1.46.